Agar polymer has
1. Brush heap structure
2. Interdigitation structure
3. Fish belly structure
4. All of the above

Correct answer: 1. Brush heap structure

Explanation: Composition of Commercial Reversible Hydrocolloid Impression Materials: